Structure passing through both greater and lesser sciatic foramen are all EXCEPT:
1. Pudendal Nerve
2. Internal Pudendal Vein
3. Nerve to Obturator Internus
4. Tendon of Obturator Internus

Correct answer: 4. Tendon of Obturator Internus

Explanation: PIN (Pudendal nerve, Internal pudendal vessels and Nerve to obturator internus) structures come from pelvic cavity, pass through the Greater Sciatic Notch, hook behind the Ischial Spine (in Gluteal Region) and move into the Lesser Sciatic Notch. The Tendon (and not muscle) of Obturator Internus passes through the Lesser Sciatic Notch.